Red man syndrome is due to ?
1. Vancomycin
2. Polymyxin
3. Rifampicin
4. Teicoplanin

Correct answer: 1. Vancomycin